Buspirone acts on:-
1. 5HT1A
2. 5HT1B
3. 5HT2
4. 5HT3

Correct answer: 1. 5HT1A

Explanation: Drugs like : Buspirone Azapirone Ipsapirone Gepirone Are used for anxiety and it acts on 5HT 1A Clozapine has high affinity for D1, D4, 5HT2, X adrenergic receptor. Ondansetron Granisetron Palonosetron Dolasetron 5HT3 receptor Antagonist Palonsetron - Maximum potency